Which one of the following does not cause small vessel vasculitis?
1. Churg - strauss syndrome
2. Henoch - Schonlein purpura
3. Kawasaki disease
4. Microscopic polyangiitis

Correct answer: 3. Kawasaki disease

Explanation: Kawasaki disease is a disease in which blood vessels throughout the body become inflamed. The most common symptoms include a fever that lasts for more than five days and is not controlled by usual medications, large lymph nodes in the neck, a rash in the genital area, and red eyes, lips, palms or bottoms of the feet. Other symptoms include sore throat and diarrhea. Within three weeks of the onset of symptoms, the skin from the hands and feet may peel. Recovery then typically occurs. In some children, coronary artery aneurysms may form in the heart.Ref: Ganong's review of medical physiology; 24th edition